Bacteria found in gingivitis are localized in
1. Connective tissue fibres
2. Gingival sulcus
3. Alveolar bone
4. Periodontal ligament

Correct answer: 2. Gingival sulcus